Normal intraocular pressure is -
1. 7 - 14 mm Hg
2. 2.1 - 6 mm Hg
3. 10 - 21mm Hg
4. 16 - 32 mm Hg

Correct answer: 3. 10 - 21mm Hg

Explanation: Ans. is 'c' i.e., 10-21 mm Hg o The intraocular pressure (IOP) refers to the pressure exerted by intraocular fluids on the coats of the eyeball. The normal IOP varies between 10 and 21 mmHg.